Vaginal pH is most acidic during?
1. Menstruation
2. Pregnancy
3. Puerperium
4. Newborn

Correct answer: 2. Pregnancy

Explanation: ANSWER: (B) PregnancyREF: 12th edition of Novak's Gynecology p-192, Jeffcoate 7ed p. 27The pH of the normal vagina is lower than 4.5, which is maintained by the production of lactic acid. Estrogen-stimulated vaginal epithelial cells are rich in glycogen. Vaginal epithelial cells break down glycogen to monosaccharaides, which can then be converted by the cells themselves and lactobacilli to lactic acid.pH of vagina changes with ageAGEVaginal pHNewborn4.5-76 week old7PubertyAlkaline to acidicReproductive age4-5.5Pregnancy3.5-4.5Late menopause6-8